Neonatal Complication in Diabetes mothers in all EXCEPT
1. Hypocalcaemia
2. Macrosomia
3. Hypoglycemia
4. Anemia

Correct answer: 4. Anemia

Explanation: (Anemia): (284-85-Dutta 7th edition)Neonatal complication of PM* Hypo glycaemia (<37mg/dl)* Respiratory distress syndrome* Hyperbilirubinaemia* Polycythaemia* Hypocalcaemia (< 7mg/dL)* Hypomagnesemia(< 7mg/dL)* CardiomyopathyMAJOR BIRTH DEFECTS IN INTANTS OF DIABLTIC MOTHERS (6 -10TH)CNS and skeletalCardiovascularRenalGastrointestinalOthers* Neural tube defects* VSD, ASD* Renal agenesis* Duodenal atresia* Single umbilical artery* Hydronephrosis* Anorectal atresia* Anencephaly* Coarctalion of aorta* Double ureter* Omphalocoele * Microcephaly * Caudal regression syndrome* Transposition of great vessels * Situs inversus* Polycystic kidneys* Tracheo oesophageal fistula * Sacral agenesis* Fallot's tetralogy